Fractures of fibular neck may involve:
1. Tibial nerve
2. Sciatic nerve
3. Common peroneal nerve
4. Sural nerve

Correct answer: 3. Common peroneal nerve

Explanation: Ans: C i.e. Common peroneal nerve